A patient presents with signs of pneumonia. The bacterium obtained from sputum was a gram positive cocci which showed alpha hemolysis on sheep agar. Which of the following test will help to confirm the diagnosis?
1. Bile solubility
2. Coagulase test
3. Bacitracin sensitivity
4. CAMP test

Correct answer: 1. Bile solubility

Explanation: The bacteria in the question which is a gram positive cocci showing alpha hemolysis on sheep agar is Streptococcus pneumoniae. Optochin sensitivity and bile solubility tests can confirm its diagnosis. Ref: Essentials of Diagnostic Microbiology By Lisa Anne Shimeld, 1998, Page 120; The Science of Laboratory Diagnosis By David Burnett (Ph. D.), David Burnett, John Crocker, 2005, Page 138